Bartonella henselae causes which disease -
1. Bacillary peliosis
2. Chancre redux
3. Rat bite fever
4. Spirillum fever

Correct answer: 1. Bacillary peliosis

Explanation: Ans. is 'a' i.e., Bacillary peliosis o Bartonella henselae causes1. Cat scratch disease (Afipia felis also causes cat scratch disease)2. Bacillary angiomatosis (B. quintana also causes angiomatosis)3. Bacillary peliosis4. Bacteremia5. Endocarditis (SABE)